Regan isoenzyme is increased in
1. Seminoma
2. Paget's disease
3. Osteoporosis
4. Cholestasis

Correct answer: 1. Seminoma

Explanation: The Regan isoenzyme is a placental-type alkaline phosphatase that is expressed in a number of human tumors, particularly in gonadal and urologic cancers. Evidence now points to seminoma as a consistent producer of Regan isoenzyme although much more work will be required to establish its clinical utility. Ref: